Shoulder dystocia results in the following except:
1. Erb's palsy
2. Klumpke's palsy
3. Sternomastoid swelling
4. Anencephaly

Correct answer: 4. Anencephaly

Explanation: Ans. D: Anencephaly Shoulder dystocia is a specific case of dystocia whereby after the delivery of the head, the anterior shoulder of the infant cannot pass below the pubic symphysis, or requires significant manipulation to pass below the pubic symphysis. It is diagnosed when the shoulders fail to deliver shortly after the fetal head. In shoulder dystocia, it is the chin that presses against the walls of the perineum Although the definition is imprecise, it occurs in approximately 1% of vaginal births. Despite appropriate obstetric management, fetal injury such as brachial plexus injury, fetal asphyxia, fracture humerus, sternomastoid haematoma or even fetal death can be a complication of this obstetric emergency.